The most reliable criteria in Gustafson's criteria is
1. Root resorption
2. Paradentosis
3. Translucency of root
4. Attrition

Correct answer: 3. Translucency of root

Explanation: Gustafson's criteria: age determination using secondary changes in teeth. A. AttritionP. Paradentosis S. Secondary dentin - 2nd most reliable R. Root resorption T. Transparency of root - most reliable B. Cementum opposition